A 20 year old man presented with hemorrhagic colitis. The stool sample grew Escherichia coli in pure culture. The following serotype of E.coli is likely to be causative agent -
1. 0157:H7
2. 0 159:H7
3. 0107:H7
4. 0 55:H7

Correct answer: 1. 0157:H7

Explanation: Ans. is 'a' i.e., 0 157 : H7 . Amongst E. coli, Enterohemorrhagic E. coli causes heamorrhagic colitis and the typical EHEC is serotype 0157: H7. Remember . Few other serotype such as 026 : Hl also belongs to this category.